18 yr female with itchy erythema, swelling of toes every winter season seen due to -
1. Raynauds disease
2. Raynauds phenomenon
3. Chilblains
4. Frost bite

Correct answer: 3. Chilblains

Explanation: Ans. is 4c' i.e., ChilblainsChilblainso Aka pernio. It is an inflammatory skin condition presenting after exposure to cold as pruritic and/or painful erythematous to viloaceous acral lesions. It may be idiopathic or secondary to an underlying disease,o It is an abnormal vascular response to cold exposure and is most frequent when damp or humid conditions coincide.o Most frequent in young and middle aged women and children.